Which of the following is the most common mutation in Ewing's sarcoma
1. Translocation X: 18
2. Translocation 11; 22
3. Activative mutation of G5alpha surface protein
4. Missense mutation in EXTI

Correct answer: 2. Translocation 11; 22

Explanation: Miscellaneous bone tumors In Ewing sarcoma the common chromosomal abnormality is a translocation that causes the fusion of EWs gene on 22q12witg a member of the ETS family of transcription factors. The most common fusion paers are the FL1 gene on 11q24 and the ERG gene on 21q22. Robbins basic pathology 9th edition page no 780,Heading =